Treatment of strangulated hernia is:
1. Observation
2. Immediate surgery
3. Manual reduction
4. Analgesics

Correct answer: 2. Immediate surgery

Explanation: Ans: b (Immediate surgery)Ref: Bailey & Love, 24th ed, p. 1279 & 23rd ed, p. 1150